Train of four is characteristically used in concern with –
1. Malignant hyperthermia
2. Non–depolarizing neuromuscular blockers
3. Mechanical ventilation
4. To check hemodynamic parameters

Correct answer: 2. Non–depolarizing neuromuscular blockers

Explanation: TO4 is used for monitoring of neuro-muscular block during anaesthesia.